The type of inhibition seen in cerebellum is
1. Pre-synaptic inhibition
2. Post-synaptic inhibition
3. Renshaw-cell inhibition
4. Feed forward inhibition

Correct answer: 4. Feed forward inhibition

Explanation: (D) Feed forward inhibition> Feed forward inhibition--Seen in cerebellum. Stimulation of basket cells produces IPSP (inhibitory post-synaptic potential) in Purkinje cells.> However, both these cells are excited by the same excitatory inputs.> This arrangement is called feed forward inhibition, presumably limits the duration of excitation produced by any afferent volley.